True about peripheral nerve injury in upper limb :
1. Radial nerve injury cause anaesthesia over anatomical snuff box
2. Index finger anesthesia is caused by median nerve injury
3. Ulnar nerve injury cause claw hand
4. All

Correct answer: 4. All

Explanation: A i.e. Radial nerve injury cause anaesthesia over anatomical snuff box; C i.e. Ulnar nerve injury cause claw hand; B i.e. Index finger anesthesia is caused by median nerve injury